Most common cause of nephrotic syndrome in paediatric age group is
1. Minimal change disease
2. Membranous glomerulonephritis
3. Malarial infection
4. Mesangioproliferative glomerulonephritis

Correct answer: 1. Minimal change disease

Explanation: Ans. a (Minimal change disease). Refer to Q. No.49 of Pathology section of same paper.Minimal-Change Disease (Lipoid Nephrosis)# This relatively benign disorder is the most frequent cause of the nephrotic syndrome in children.# It is characterized by glomeruli that have a normal appearance by light microscopy but show diffuse effacement of podocyte foot processes when viewed with the electron microscope.# Although it may develop at any age, this condition is most common between ages 1 and 7 years.# When the changes in the podocytes reverse (e.g., in response to corticosteroids), the proteinuria remits.